Insal-Salvati index is used for -
1. Olecranon
2. Patella
3. Talus
4. Scaphoid

Correct answer: 2. Patella

Explanation: Ans. is 'b' i.e., Patella o Two radiological indices are commonly used for determining the position of patella -Insall-Salvati indexIt is the ratio of patellar tendon length to patella length.Normally it is TO.An index of T 2 or more is seen in patella alta (high riding patella).An index of 0*8 or less is seen in patella baja (low lying patella).Blackbume-Peel lindexIt is the ratio of (i) the distance of tibial plateau to inferior articular surface of patella (numerator), to (ii) length of articular surface of patella (denominator).Normally it is 0-8.An index of 1 or more is seen in patella alta.